The most sensitive test for SLE -
1. Anti ds DNA
2. ANA
3. Anti histone
4. Complement C levels

Correct answer: 2. ANA

Explanation: Ans. is 'b' i.e., ANA